An enzyme increases the rate of a chemical reaction through which one of the following effects?
1. Decreasing the free energy of the substrate
2. Increasing the free energy of the product
3. Decreasing the free energy of the transition state
4. Shifting the equilibrium of the reaction toward the product

Correct answer: 3. Decreasing the free energy of the transition state

Explanation: Enzymes increase the rate with which substrates are converted to products. They work by decreasing the free energy of the transition state. That is, they provide an alternate reaction pathway with a lower free energy of activation (i.e., the amount of energy required to form a high-energy intermediate that is involved in generating the product). The free energies of the substrates and the products are not altered. Because the energies of the initial state and the final state are not changed, the free energy change is not altered. The equilibrium of the reaction also remains unchanged.